PUFA consumption is associated with -
1. Lowering of serum cholesterol, rise in LDL cholesterol
2. Lowering of serum cholesterol, lowering of LDL cholesterol
3. Rise in serum cholesterol, rise in LDL cholesterol
4. Rise in serum cholesterol, lowering of LDL cholesterol

Correct answer: 2. Lowering of serum cholesterol, lowering of LDL cholesterol

Explanation: PUFAs (Polyunsaturated fatty acids) Linoleic acid (LA) and alpha-linolenic acid (ALA) are indispensable since they cannot be synthesized by humans. Minimum intake levels for essential fatty acids to prevent deficiency symptoms are estimated to be 2.5% ELA plus 0.5% E ALA. Replacing SFAs with PUFAs decreases LDL cholesterol concentration and the total/HDL cholesterol ratio. A similar but lesser effect is achieved by replacing these SFAs with MUFAs. Ref: Park 25th edition Pgno : 648